False about Fragile-x syndrome
1. Mutation in DMPK gene
2. Second most common cause of mental retardation
3. Macro orchidism
4. High arched palate

Correct answer: 1. Mutation in DMPK gene

Explanation: Mutation in FMR-1 gene (Familial mental retardation-1 gene).